Most common site of ligation by laparoscopic ring in Female sterilization:
1. Fimbrial
2. Cornual
3. Ampullary
4. Isthmus

Correct answer: 4. Isthmus

Explanation: Most common site of ligation by Falope ring in Female sterilization is Isthmus. Since isthmus has a uniform diameter and wall thickness, reversal procedures are also relatively more efficient